Microscopic polyangiitis is characterized by the following features EXCEPT
1. Involves small and medium sized arteries and veins
2. 75% cases are associated with ANCA positivity
3. Palpable purpura, ulcers and vesiculo bullous lesion
4. Unlikely to cause pulmonary renal syndrome

Correct answer: 4. Unlikely to cause pulmonary renal syndrome

Explanation: Ans. (d) Unlikely to cause pulmonary renal syndrome(Ref: Robbins 9th/pg 510-11; 8th/pg 515)Microscopic polyangiitis (MP)Option a true- MP is small vessel vasculitisTypically spare medium-sized and larger arteriesOption b is true- P-ANCA is present is majority of the patients.Option c is true- major clinical features include hemoptysis, hematuria and proteinuria, bowel pain or bleeding, muscle pain or weakness, and palpable cutaneous purpura.Skin findings are as follows:Palpable purpura (41%), Leukocytoclastic angiitis, livedo reticularis (12%), skin ulcerations, necrosis and gangrene, necrotizing nodules and digital ischemia (7%)Urticaria - Vasculitis-associated urticaria that lasts longer than 24 hours Option d is false- Necrotizing glomerulonephritis (90% of patients) and pulmonary capillaritis are common,